Most commonly used measure of central tendancy is:
1. Mean
2. Median
3. Mode
4. None of the above

Correct answer: 1. Mean

Explanation: MEAN 

Most commonly used in biostatistics.
Most of the value in data spread along the mean.

MEDIAN

BETTER indicator of central tendency
Maximum observation are concentrated around median
If EXTREME VALUEs are recorded, then mean can’t be used. Use median. .

MODE 

Rarely used. A series can have – no mode, 1 mode or, multiple mode.